A patient has a congenital deficiency in factor XIII (fibrin-stabilizing factor). What would analysis of his blood reveal?
1. Prolonged prothrombin time
2. Prolonged whole blood clotting time
3. Prolonged partial thromboplastin time
4. Easily breakable clot

Correct answer: 4. Easily breakable clot

Explanation: Fibrin monomers polymerize to form a clot. Creation of a strong clot requires the presence of fibrin stabilizing factor that is released from platelets within the clot. The other clotting tests determine the activation of extrinsic and intrinsic pathways or number of platelets.